KF ring in Wilson's disease is seen at the level of:
1. Descemet's membrane
2. Epithelium
3. Endothelium
4. Stroma

Correct answer: 1. Descemet's membrane

Explanation: Ans: A (Descemet's membrane) Ref: BASAK Essentials of Ophthalmology. 5th edition, pg no 163Explanation: (See the following table)In KF ring, the copper deposits are seen in the vertical meridian (6 &12o'clock position) in the early stages.It is seen in all Wilson's patients if CNS is involvedWith penicillamine therapy . it disappears.Other manifestations of Wilson's disease are sunflower cataract & defective accommodation.